Rubrospinal tract influences -
1. Posture and balance
2. Valuntary activity
3. Vestibuloocular stimuli
4. All of the above

Correct answer: 2. Valuntary activity

Explanation: Ans. is'b' i.e., Voluntary activityActions of extrapyramidal systemsReticulospinal (Rubrospinal tracts -+ voluntary and reflex (involuntary) activity.